Mucocele is commonly seen in sinus:
1. Frontal
2. Maxillary
3. Ethmoid
4. Sphenoid

Correct answer: 1. Frontal

Explanation: A mucocele is an epithelial lined, mucus containing sac completely filling the sinus and capable of expansion: Mucocele are most commonly formed in Frontal sinus followed by ethmoid, sphenoid and maxillary sinuses. Mucocele of frontal sinus presents as a swelling in the floor of frontal sinus above the inner (medial) canthus. It displaces the eyeball forward, downward and laterally. IOC = CT scan TOC Endoscopic sinus surgery